DNA fingerprinting was first developed by?
1. Alec jeffreys
2. William herschelle
3. Edward hennery
4. Francis galton

Correct answer: 1. Alec jeffreys

Explanation: DNA fingerprinting was developed by Alec JeffreyQ. Brain finger printing invented by Dr.Lawrence FarrelQ Brain Fingerprinting (Brain Mapping): Brain mapping is a group of neuroscience techniques based on the mapping the activities of the different areas of the brain. The electrical activities of the brain is measured & analysed. Is a computer-based test